Sinus venosus receiver blood from all except
1. Vitelline vein
2. Umbilical vein
3. Common cardinal vein
4. Sub cardinal vein

Correct answer: 4. Sub cardinal vein

Explanation: Each horn of sinus venosus receives blood from following three pair of veins, vetelline veins (from yolk sac), umbitical veins (from placenta) and common caralinal veins (from body wall).